A 41-year-old woman is diagnosed with CA Cervix. She has right hydronephrosis as evidenced by the intravenous pyelogram (IVP). The biopsy specimen confirms it is squamous cell cancer. Which of the following statements regarding this patient's condition is most accurate?
1. The best treatment for her is surgical excision.
2. The majority of cervical cancers are of adenomatous cell type.
3. Chemoradiation is the preferred treatment
4. Radical hysterectomy is an option in the therapy of this patient.

Correct answer: 3. Chemoradiation is the preferred treatment

Explanation: Stage IIIB: Extension of cervical malignancy to pelvic side wall and/or hydronephrosis or non functioning kidney Broadly, the treatment of cervical cancer is surgical upto stage IIA1 (lesion size <4cm without parametrial involvement) after which the treatment involves chemoradiation, therefore here, chemoradiation is treatment of choice Most common histological type of cervical malignancy is squamous cell carcinoma